After the age of six the increase in the size of mandible
occurs at:
1. Symphysis
2. Between canines
3. Along the lower border
4. Distal to 1st molars

Correct answer: 4. Distal to 1st molars